All of the following are features of hyperthyroidism except:
1. Rise in BMR
2. Delayed deep tendon reflexes
3. Weight loss
4. Moist skin

Correct answer: 2. Delayed deep tendon reflexes

Explanation: Ans. B: Delayed deep tendon reflexes Features of hyperthyroidism Increased heat production - warm, moist skin, heat intolerance Telangiectasia, palmar erythema, pretibial myxoedema, onycholysis Weight loss, increased appetite, increased frequency of bowel movement but frank diarrhoea is uncommon. Oligomenorrhoea Tachycardia, exertional dyspnoea, hyperdynamic circulation; systolic hypertension is common and diastolic hypertension can occur in up to 30% of patients Tiredness, irritability, nervousness Fine tremor, hyperkinesias, hyperreflexia, muscle wasting There are eye signs in Graves' disease Others: Occasionally, bone pain due to osteoporosis In elderly patients, there may be atrial fibrillation or cardiac failure Alopecia, pruritus, pretibial myxoedema, acropachy (form of clubbing) Atypical presentation may include: Atrial arrhythmias in middle aged patients Severe proximal myopathy with normal CK values Deterioration or unmasking of myasthenia gravis Hypokalaemic periodic paralysis - especially in orientals Chronic diarrhoea Hypercalcaemia Osteoporosis Gynaecomastia